All are reduced in iron deficiency anemia EXCEPT:
1. Total iron binding capacity
2. Percentage saturation of Transferrin
3. Hemoglobin level
4. Serum ferritin

Correct answer: 1. Total iron binding capacity

Explanation: - In iron deficiency anemia as % saturation of transferrin decreases, total iron binding capacity increases. Other parameters seen in IDA are: serum ferritin | Transferrin levels | Serum iron levels | Free erythrocyte protoporphyrin ||| Mentzer index || . CBC: |Hb, MCH |, MCV |, MCHC |